Not seen in faecal pollution –
1. Staphylococcus
2. Streptococcus
3. E. coli
4. Clostridium perfringens

Correct answer: 1. Staphylococcus